Which of these hepatitis viruses replicates its genome in the nucleus of the host hepatocyte?
1. HBV
2. HCV
3. HEV
4. HAV

Correct answer: 1. HBV

Explanation: Ans. A. HBVHepatitis B is the only hepatitis virus with a DNA genome (thus requiring entry into the nucleus for transcription of the genome into mRNA).